SIADH is associated With the following drug-
1. Vincristine
2. Erythromycin
3. 5-FU
4. Methotrexate

Correct answer: 1. Vincristine

Explanation: Common drugs that have been shown to increase vasopressin secretion or mimic vasopressin action, resulting in hyponatremia ,include oxcarbazepine,carbamazepine,chlorpropamide,vinblastine,vincristine, and tricyclic antidepressants. Page 1884,Nelson textbook of pediatrics 19th edition